Guillaine Barre Syndrome, the false statement is
1. It is an acute demyelinating poly-radiculopathy
2. Sensory signs are minimal
3. Babinski sign is positive
4. Bladder involvement is rare

Correct answer: 3. Babinski sign is positive

Explanation: GBS is an acute demyelinating poly-radiculopathy presenting as ascending paralysis with areflexia, minimal sensory symptoms and bladder involvement. Being a LMN type of lesion, DTRs are lost (areflexia) and Babinski sign is not positive.